Parkland formula for burns is for:
1. Ringer lactate
2. Glucose saline
3. Normal saline
4. 25% dextrose

Correct answer: 1. Ringer lactate

Explanation: Ans. Ringer lactate